All form part of portal triad except -
1. Hepatic artery
2. Hepatic vein
3. Bile duct
4. Portal vein

Correct answer: 2. Hepatic vein

Explanation: Ans. is 'b' i.e., Hepatic vein o Glissons's capsule extend into the liver around branches of hepatic artery, portal vein and bile ducts as branching trabeculae called as portal tracts (portal canals).o The combination of a bile ductule, branch of hepatic artery, and branch of portal vein is referred to as portal triad.